Orthodox sleep is -
1. REM sleep
2. NREM sleep
3. Narcolepsy
4. Alternate REM & NREM

Correct answer: 2. NREM sleep

Explanation: Ans is'b'i.e., NREM sleep Orthodox sleep - Non-REM (NREM) or slow wave sleep.Paradoxical -+ REM (rapid eye movement) sleep